Which is seen in chediak Higashi syndrome
1. Neutopenia
2. Defective microbial killing
3. Presence of large granules in neutrophils
4. All of the above

Correct answer: 4. All of the above

Explanation: Ref Harrison 16/e p,353:,354, Robbins 9/e p238 Chediak Higashi syndrome: Autosomal recessive inheence Due to defect in lysosomal transport protein LYST. Clinical feature include: primary immune deficiency, neutropenia , defective microbial killing,impaired chemotaxis,hypopigmentation, photophobia, nystagmus. Microscopic examination shows giant peroxidase positive inclusion in the cytoplasm of leukocytes